Platelet count is decreased in all of the following condition except -
1. H. S. Purpura
2. Idiopathic thrombocytopenic purpura
3. Thrombotic thrombocytopenic pupura
4. Systemic lupus erythematosus

Correct answer: 1. H. S. Purpura